Halocrine secretion is seen in .....gland
1. Salivary
2. Mammary
3. Sebaceous glands
4. Gastric

Correct answer: 3. Sebaceous glands

Explanation: The manner in which their secretions are poured out of the cells: Merocrine: In most exocrine glands secretions are thrown out of the cells by a process of exocytosis, the cell remaining intact, this manner of secretion is described as merocrine, e.g., goblet cell (sometimes also called eccrine or epicrine), Apocrine: In some glands the apical parts of the cells are shed off to discharge the secretion, this manner of secretion is described as apocrine. An example of apocrine secretion is seen in some atypical sweat glands and in mammary glands. Holocrine: In some glands, the entire cell disintegrates while discharging its secretion. This manner of discharging secretion is described as holocrine, and is seen typically in sebaceous glands. REF : Inderbir Singh's Textbook of Human Histology, seventh edition, pg.no., 58.